Mohan, 40 years, has recently started writing books. But the matter in this book could not be understood by anybody, since it contained words which are not there in dictionary and the theme was very disjoint. Likely diagnosis is:
1. Mania
2. Schizophrenia
3. Genius writer
4. Delusional disorder

Correct answer: 2. Schizophrenia

Explanation: Ans. Schizophrenia